Wood's Lamp used in
1. Tinea pedis
2. Pityriasis versicolor
3. Sporotrichosis
4. All of the above

Correct answer: 2. Pityriasis versicolor

Explanation: Wood’s lamp is a device that detects fluorescence structures which gives different color.
In fair skin individuals Wood's Lamp detects Vitiligo (and other depigmentations) even when it is not visible to the eye under normal light conditions.